Indications of somatostatin include
1. Zollinger Ellison syndrome
2. Bleeding esophageal varices
3. Steatorrhoea
4. Macroprolactinoma

Correct answer: 2. Bleeding esophageal varices

Explanation: GH Inhibitors Somatostatin Mech of action:- This- 14 amino acid peptide inhibits the secretion of GH, prolactin and TSH by pituitary; insulin and glucagon by pancreas, and of almost all gastrointestinal secretions including that of gastrin and HCl. Side effects:- The g.i.t action produces steatorrhoea, diarrhoea, hypochlorhydria, dyspepsia and nausea as side effect. Uses:- 1) Somatostatin constrict splanchnic, hepatic and renal blood vessels. The decreased g.i. mucosal blood flow can be utilized for controlling bleeding esophageal varices and bleeding peptic ulcer, but octreotide is preffered now due to longer duration of action. 2) it's antisecretory action is beneficial in pancreatic, biliary or intestinal fistulae; can also be used to reduce complications after pancreatic surgery. 3) it also has adjuvant value in diabetic ketoacidosis (by inhibiting glucagon and GH secretion). 4) somatostatin in acromegaly. 5) insulinoma, glucaganoma. Ref:- kd tripathi; pg num:-237